Acute humoral renal transplant rejection is characterised by the following, except
1. Presence of anti donor antibodies
2. Interstitial and tubular mono nuclear cell infiltration
3. Necrotizing vasculitis
4. Acute cortical necrosis

Correct answer: 2. Interstitial and tubular mono nuclear cell infiltration

Explanation: Ref Robbins 8/e p 228-229; 9/e p232-233 Acute humoral rejection (rejection vasculitis) caused by antidonor antibodies also may participate in acute graft rejection. The histologic lesions may take the form of necro- tizing vasculitis with endothelial cell necrosis; neutrophilic infiltration; deposition of antibody, complement, and fibrin; and thrombosis. Such lesions may be associated with isch- emic necrosis of the renal parenchyma. Somewhat older subacute lesions are characterized by marked thickening of the intima by proliferating fibroblasts, myocytes, and foamy macrophages (Fig. 4-24, C). The resultant narrowing of the arterioles may cause infarction or renal cortical atrophy. The proliferative vascular lesions mimic arteriosclerotic thickening and are believed to be caused by cytokines that stimulate proliferation of vascular smooth muscle cells. Local deposi- tion of complement breakdown products (specifically C4d) is used to detect antibody-mediated rejection of kidney allografts.